Most common site of salivary gland stone
1. Submandibular gland
2. Parotid gland
3. Sublingual gland
4. Minor salivary glands

Correct answer: 1. Submandibular gland

Explanation: Stones are common in submandibular gland due to thick secretions.